Following are the features of inhibin except
1. Non-steroidal water-soluble protein
2. Secreted by Graafian follicle
3. Stimulates FSH secretion
4. Increased secretion of inhibin occurs in polycystic ovarian disease

Correct answer: 3. Stimulates FSH secretion

Explanation: Ans. is c, i.e. Stimulates FSH secretionRef: Shaw 15th/ed, p45; Dutta Gynae 5th/ed, p72; Leon Speroff 7th/ed, p197, 8th/ed, p212,213,172Inhibin:* Inhibin is a non-steroidal water soluble protein.Q* It is secreted by Graffian follicle.Q* It is of two types - Inhibin A and B. In the early and midfollicular phase Inhibin B is the predominant form secreted whereas Inhibin A begins to rise in late filicular phase to reach a peak in mid luteal phase.Inhibin suppresses FSH secretion and not LH* In PCOS inhibin secretion increases.Q